Female with secondary amenorrhea with serum prolactin level 75ng/m1 is to be treated with:
1. Cabergoline
2. Ganirelix
3. Clomiphene
4. Estradiol

Correct answer: 1. Cabergoline